Following are features of acute GN except -
1. Polyuria
2. Haematuria
3. Red cell casts
4. Pyuria

Correct answer: 1. Polyuria

Explanation: Acute GN- microscopic hematuria (also present in interstitial nephritis, papillary necrosis, hypercalciuria,renal stones ,cystic kidney diseases,renal vascular injury, BPH) Dysmorphic rbc ,rbc casts in urine Proteinuria Some patients with inflammatory glomerular disease ,such as acute post streptococcal Glomerulonephritis or MPGN have pyuria . Ref:Harrison 20 th edition pg no 2134